Long acting glucocorticoid is -
1. Dexamethasone
2. Triamcenolone
3. Prednisolone
4. Hydrocortisone

Correct answer: 1. Dexamethasone

Explanation: Ans. is 'a' i.e., Dexamethasone Relative activity of systemic corticosteroids CompoundGlucoMineraloEquiv, dose (antiinflammatory)Short acting, (Biological t 1/2 < 32 hr)1. Hydrocortisone (cortisol)1120 mgIntermediate acting, (Biologiat t 1/2 12-36 hr)2. Prednisolone3. Methylprednisolone4. Triamcinolone4550[?]80[?]505 mg4 mg4 mgLong acting, (Biological t 1/2 > 36 hr)5. Dexamethasone6. Betamethasone2525000-75 mg0-75 mg Equiv, salt retaining dose2-5 mg(sublingual)0-2 mgnot used clinically7. Desoxvcortico- sterone acetate (DOCA)01008. Fludrocortisone101509. Aldosterone0-33000Remembero Zero mineralocorticoid activity - Triamcinolone, Paramethasone, Dexamethasone, Betamethasoneo Mineralocorticoid with zero glucocorticoid activity - DOCA (Deoxycorticoisterone acetate)o Most potent glucocorticoid - Betametasoneo Least potent glucocorticoid - Cortisoneo Maximum mineralocorticoid activity' - Aldosteroneo Maximum glucocorticoid activity' - Dexamethosone & Betametasone